When orthotoludine reagent is added to water and if free chuirine is present, what colour will be produced?
1. Pink
2. Yellow
3. Green
4. Red

Correct answer: 2. Yellow

Explanation: Ans. is 'b' i.e., Yellow